Type D personality has been recently found to be a risk factor for:
1. Coronary artery disease
2. Depression
3. Personality disorder
4. Schizophrenia

Correct answer: 1. Coronary artery disease

Explanation: Ans. a. Coronary artery disease Type D personality has been recently found to be a risk factor for coronary' artery disease."Type A personality (behavior pattern) includes competitiveness, time urgeny, and hostility.""Type D (distressed) personality is not oniy a risk factor for development of ischemic heart disease, it also leads to Horse prognosis following a myocardial infarction." Personality Disorder Type-A PersonalityType-B PersonalityType-D Personality* It is originally characterized by competitiveness, time urgency, hostility and anger3 (last two components are pathogenic).* Ambitiousness, aggressiveness, competitiveness, impatience, muscle tenseness, alertness, rapid and emphatic vocal style, irritation, and cynicism are other features.* Are hard working workaholics who deny emotional or physical vulnerability. Their self esteem is dependent on achievement i.e. they are impatient, achievement oriented people.* These individuals show a greater physiological reactivity (e g. BP. Heart rate) and are more likely to get engaged in unhealthy babbits e g., drinking alcohol, smoking.* And if these individuals smoke they inhale smoke for a longer time.* Associated with significantly high risk of coronary heart disease.* It includes carefree, easy going, relaxed individuals* It includes people with distressed personality who suffer from high degree of emotional distress (negative emotions /affectivity) but they consciously suppress their feelings* Type D personality is both a prognostic and risk factor for IHD.* These persons have worse prognosis after Ml with an - 4 times increased risk of sudden cardiac death, recurrent Mi and mortality.* These persons have an impaired/poor quality of life and are more likely to experience anxiety and depression (mood swings).Risk factor for cardiac disase include major depressive disorder, type D personality and ty pe A personality, (especially anger and hostality).